In papilledema, all the following are true except
1. Blurring of the disc
2. Congestion of retinal veins
3. Soft white exudates around the disc
4. Sudden loss of vision

Correct answer: 4. Sudden loss of vision

Explanation: D. i.e. Sudden loss of vision